A 4-year-old child comes to you with a history of dog bite from a street dog. This child had already received Rabies vaccine last year (full course). What will be your next course of action with regard to immunization:
1. Repeat the entire schedule of Rabies vaccine
2. No further dosages of Rabies vaccines required
3. Two booster doses at day 0 and day 3
4. Two booster dosages at day 0 and day 14

Correct answer: 3. Two booster doses at day 0 and day 3

Explanation: Ans. C. Two booster dosages at day 0 and day 3Children who have received previously full rabies postexposure prophylaxis or pre-exposure vaccination (either IM or ID route) should be given only two booster doses, either intramuscularly (0.5ml/1ml) or intra-dermally (0.1ml at a single site only) on days 0 and 3. This is given irrespective of the duration of previous vaccination. In these situations, treatment with RIG is not necessary. As always proper wound toilet should be done. In case of travelers who cannot come for the second visit, a single visit 4 site (0.1mLx4 ID sites, two deltoids and two suprascapular or thighs) ID booster may be given as per WHO recommendation.